Latanoprost is used in treatment of :
1. Induction of labor
2. Refraction
3. Glaucoma
4. Iridocyclitis

Correct answer: 3. Glaucoma